TMJ has the following:
1. 2 joint cavities & 1 articular disc.
2. 1 joint cavity & 1 articular disc.
3. 1 joint cavity & 2 articular disc.
4. 2 joint cavities & 2 articular discs.

Correct answer: 1. 2 joint cavities & 1 articular disc.